Christensen's phenomenon is seen in:
1. Hinge movement.
2. Protrusive movement
3. Lateral movement.
4. All of the above.

Correct answer: 2. Protrusive movement

Explanation: Protrusive movement occurs while incising and grasping food. This movement occurs after the condyles rotate for more than 13° in the TMJ. The mandible moves forwards and downwards, bringing the maxillary and mandibular anterior teeth in an edge-to-edge relation. The characteristic posterior separation seen during anterior protrusion is called 'Christensen's phenomenon.